Which of the following antigen is found within the nuclei of infected hepatocytes and not usually in the peripheral circulation in Hepatitis B' infection ?
1. HBeAg
2. HBcAg
3. Anti-HBc
4. HBsAg

Correct answer: 2. HBcAg